Pseudo Koebner's phenomenon is seen in -
1. DLE
2. Lichen planus
3. Kaposis sarcoma
4. Plane was

Correct answer: 4. Plane was

Explanation: Ans. is'd' i.e., Plane was